"Nuisance mosquito" is -
1. Anopheles
2. Culex
3. Ades
4. Tsetse fly

Correct answer: 2. Culex

Explanation: Genus Culex are called nuisance mosquitoes. Important vector of the group Culex fatigans is the vector of bancroftian filariasis in India. C.fatigans is essentially a domestic species and is found everywhere. Rapid urbanization and pollution have increased the spread. It breeds in dirty water. Culex mosquitoes cause Bancroftian filariasis, Japanese encephalitis, West Nile fever, Viral arthritis. Park's Textbook of Preventive and Social Medicine, 25th edition, Page No. 831